Ataxia telangiectasia is associated with all of the following except
1. Recurrent sinopulmonary infections
2. Lymphatic reticular malignancies
3. Increased fraction of IgA immunoglobulins
4. Insulin resistance

Correct answer: 3. Increased fraction of IgA immunoglobulins

Explanation: Although B lymphocytic development is normal most patients are deficient in serum IgA and IgEAtaxia telangiectasia:An autosomal recessive genetic disorderMutation of AT gene located on chromosome 11(11q 22-33)A defect in DNA repair, increased number of chromosomal breaksAlfa-fetoprotein and carcinoembryonic antigen levels are increasedManifestations are:AtaxiaOculocutaneous telangiectasiasMalignanciesHodgkin's lymphomaAcute leukemiaImmunodeficiency Endocrinal Ref: Harrison; 18/e; p3344